Which tumour have the tendency to invade perineural spaces
1. Adenoid cystic carcinoma
2. Mucoepidermoid Carcinoma
3. Acinic cell carcinoma
4. Adenocarcinoma

Correct answer: 1. Adenoid cystic carcinoma

Explanation: Adenoid cystic carcinoma is a relatively uncommon tumour, which in approximately 50% of cases is found in the minor salivary glands (in particular the palatine glands). Similar neoplasms have been reported in the nose, sinuses, upper airways, breast, and elsewhere.Although slow growing, adenoid cystic carcinomas are unpredictable tumours with a tendency to invade perineural spacesRobbins pathology 9e pg: 747